The four points of probe placement in focused abdominal sonogram for trauma (FAST) in thoracoabdominal trauma are
1. subxiphoid, (R) upper quadrant, (L) upper quadrant , suprapubic
2. Epigastrium, (R) and (L) hypochondria, (R) iliac fossa
3. Epigastrium, (R) and (L) lumbar region, (R) Lower Chest
4. Hypogastrium, (R) and (L) lumbar region, (R) lower chest

Correct answer: 1. subxiphoid, (R) upper quadrant, (L) upper quadrant , suprapubic

Explanation: FAST - Focused assessment with sonography for trauma (FAST) examination is a bedside screening tool to identify free intraperitoneal, pleural and pericardial fluid. It is limited ultrasound examination with 6 views. - The average time to perform a complete FAST examination is 2-4 minutes. The four points of probe placement in focused abdominal sonogram for trauma (FAST) in thoracoabdominal trauma: 1) Subxiphoid To look for pericardial fluid & 4 chamber view of the heart 2) Right intercostal oblique view To look for right pleural effusion 3) Right coronal view To look for free fluid in Morrison's pouch and paracolic gutter 4) Left intercostal oblique view To look for left pleural effusion, free view fluid in subphrenic space 5) Left coronal view For left paracolic gutter 6) Pelvic (longitudinal/ transverse) views To detect free fluid in cul-de-sac